Frequent blushing ("erethism") is associated with poisoning of
1. Mercury
2. Lead
3. Phenolic acid
4. Carbolic acid

Correct answer: 1. Mercury

Explanation: Mechanism of toxicity:Mercury reacts with sulfhydryl (SH) groups, resulting in enzyme inhibition and pathologic alteration of cellular membranes.Clinical presentation:Severe chemical pneumonitis and noncardiogenic pulmonary edema.Acute gingivostomatitis may also occur.Chronic intoxication:Classic triad Tremor Gingivostomatitis. Metallic tasteFrequent blushing ("erethism")Pain in the extremities, often accompanied by pinkish discoloration and desquamation ("pink disease")